Carcinoma cervix is more common in :
1. HIV Patient
2. Multiparity
3. Smoking
4. All

Correct answer: 4. All

Explanation: Ans. is a, b and c i.e. HIV patient; Multiparity; and Smoking